Nerve injury leading to contusion of the nerve in which
continuity of both epineuria sheath and the axons is
maintained is known as:
1. Neurotmesis
2. Axonotrnesis
3. Neuroproxia
4. Traumatic neuroma

Correct answer: 3. Neuroproxia